Spinal accessory nerve supplies -
1. Platysma
2. Sternocleidomastoid
3. Stylohyoid
4. Diagastric

Correct answer: 2. Sternocleidomastoid

Explanation: Ans. is 'b' i.e., Sternocleidomastoid o Spinal part of accessory nerve supplies trapezius and sternocleidomastoid. Nerve supply of accessory nerveo Cranial root (cranial accessory) through branches of vagus via pharyngeal plexuso Muscles of soft palate except tensor veli palatini, i.e. levator palati, musculus uvulae, palatoglossus, palatopharyngeus. Tensor veli palatini is supplied by mandibular nerve, branch of trigeminal.o Muscles of pharynx (except sty lopharyngeus), i.e.i) Intrinsic muscle : Salpingopharyngeus, palatopharyngeus.ii) Extrinsic muscle : Superior, middle and inferior constrictors.# Stylopharyngeus is supplied by glossopharyngeal nerve.o Spinal root (spinal accessory)o Trapeziuso Sternocleidomastoid